Which of the following is the 'impact' indicator forevaluation of ASHA's performance:
1. Number of ASHAs trained
2. Infant mortality rate
3. Number of ASHAs attending meeting
4. Percentage of institutional deliveries

Correct answer: 2. Infant mortality rate

Explanation: Infant mortality rate Ref: Park 20/e p381 Monitoring and evaluation of ASHA's work Governmemt of India has set up following indicators for monitoring ASHA. 1. Process Indicators: Number of ASHAs selected by due process Number of ASHAs trained % of ASHAs attending review meeting after one year 2. Outcome Indicactors: % of newborn who were weighed and families counselled % of children with diarrhoea who received ORS. % of deliveries with skilled assistance % of institutional deliveries % of JSY (Janani Suraksha Yojna) claims made to ASHA. % of of completely immunized in 12-23 months of age group % of unmet need for spacing contraception among BPL % of fever cases who received chloroquine within first week in a malaria detected area. 3. Impact Indicators: IMR Child malnutrition rates Number of cases of TB /Leprosy detected as compared to previous year. ASHA is an important topic. Read more details from Park or see the following questions:- Q no. 54 of Nov 2006; 58 of May 2007